Accidendal chocking of respiratory passage by bolus of food -
1. Gaging
2. Overlying
3. Cafe coronary
4. Burking

Correct answer: 3. Cafe coronary

Explanation: Ans. is 'c' i.e., Cafe coronary TermsMeaningAutoerotic hangingVictims usually young males (with masochism or transvestism) enhance sexual pleasure by compressing the blood vessels of neck by any means.LynchingWhen several persons acting jointly and illegally over power an individual and hang him.Mugging (choke-holding)Strangulation of victim's neck against the forearm.GarrottingVictim is attacked from back without warning and strangled by throwing a ligature over the neck and tightening it quickly.Spanish windlassIt is a type of garrottingQ. It used to be the official mode of execution in Spain. In this an iron callar around the neck was tightened by a screw for strangling.BansdolaNeck is compressed between two sticks or hard objects. ThrottlingManual strangulation effected by hand.Burking method of somethering used by Burk and Hare and traumatic asphyxiaBurk used to sit on chest covering with one hand the mouth and nostril and pushing upthe jaw with other hand and Hare used to pull him round the room by feet.SomtheringAsphyxia caused by mechanical occlusion of external are passage.ChockingAsphyxia caused by mechanical occlusion of enternal are passage.GagingChocking by preventing air entry through mouth and nostril by filling cloth etc in mouthCafe coronaryAccidental chocking by bolus of food obstructing larynx.Q Death is mostly due to asphyxia or less commonly due to reflex cardiac arrest caused by stimulation of laryngeal nerve endings.Overlying (compression suffocation)Compression of chest prevents breathing. It occurs when mother shares a bed with infant.